Creeping fat is characteristic of which of the following Gastrointestinal pathology ?
1. Cllcerative  colitis
2. Crohn's  disease
3. Celiac disease
4. Whipples disease

Correct answer: 2. Crohn's  disease

Explanation: Mesenteric fat wrapping around the circumferance of the intestine is called creeping fat. It is pathognomonic of Crohns disease.